All of the following are steps of GIFT EXCEPT
1. Ovulation stimulation
2. Oocyte retrieval
3. Fertilization of oocyte in lab
4. Transfer of unfertilized egg into the fallopian tube

Correct answer: 3. Fertilization of oocyte in lab

Explanation: (C) Fertilization of Oocyte in Lab # Gamete intrafallopian transfer technique was first described by Asch et al in 1984. It involves aspiration of oocytes following ovulation induction either laparoscopically or under ultrasound guidance transvaginally. Laparo- scopic route is preferred as it anyway requires sperm and oocyte transfer into the fallopian tube.> Two hours before aspiration, semen is pre- pared, washed from the seminal plasma, and remained in culture medium at 37CC. The oocytes (2 per tube) are mixed with 50,000 sperms, and transferred to each ampullary portion of the fallopian tube 4 cm from the finibrial end. The volume transferred is 10 to 20 \L. Lately, transfer of oocytes and sperms are attempted by transvaginal catheterisation of the tube.